Which is not true of cryptococcus neoformans ?
1. Grows at 37degc
2. Grows on sabourauds agar
3. Polysaccharide capsule
4. Urease negative

Correct answer: 4. Urease negative

Explanation: Ans. is 'd' i.e., Urease negative